Well-organized & internally programmed death of a cell:
1. Necrobiosis
2. Apoptosis
3. Necrosis
4. Oncosis

Correct answer: 2. Apoptosis

Explanation: Ans. b (Apoptosis). (Ref. Textbook of Pathology by Harsh Mohan 4th/36; Robbins Pathology 6th/2, 4, 18)# Well-organized and internally programmed death of a cell is known as apoptosis.# The prelethal changes preceding necrotic cell death characterized by cell swelling is known as oncosis.# Necrosis is a type of cell death after exogenous stimuli, characterized by cell swelling, rupture, denaturation and coagulation of cytoplasmic proteins and breakdown of cell organelles.